Mouth Lesion are seen in:
1. Psoriasis
2. Lichen Planus
3. Basal Cell CA
4. Icthyosis Vulgaris

Correct answer: 2. Lichen Planus

Explanation: B i.e. Lichen planus